Treatment of choice for Luminal infection of E. histolytica
1. Tinidazole
2. Metronidazole
3. Paromomycin
4. Ivermectin

Correct answer: 3. Paromomycin

Explanation: Amoebic dysentry or amebic liver abscess - Tinidazole and metronidazole.
Luminal infection - Paramomycin and Iodoquinol.